A patient presents with lower gastrointestinal bleed. Sigmoidoscopy shows ulcers in the sigmoid. Biopsy from this area shows flask-shaped ulcers. Which of the following is the most appropriate treatment?
1. Intravenous ceftriaxone
2. Intravenous metronidazole
3. Intravenous steroids sulphasalazine
4. Hydrocortisone enemas

Correct answer: 2. Intravenous metronidazole

Explanation: Amoebic Colitis MC site of amoebic colitis : Cecum and ascending colon Flask shaped ulcers on colonoscopu confirms the diagnosis of amoebic colitis Drug Therapy for Amebiasis Asymptomatic carrier: Luminal agents (Iodoquinol, paromomycin) Acute colitis: Metronidazole and Luminal agents Amebic livet abscess: Metronidazole, tinidazole and Luminal agents Ref: Harrison's 19th edition Pgno : 1365